Human development index value is
1. 0 - 1
2. 0 - 100
3. Any number
4. No number

Correct answer: 1. 0 - 1

Explanation: Ans. (a) 0 - 1Ref: K. Park 23rded. /17* The HDI value ranges between 0 to 1.* This value for a country shows the distance that it has already travelled towards maximum possible value of 1 and also allows comparisons with other countries.